In DNA transfer the vectors used from smallest to largest is:
1. Cosmids, Plasmids, Bacteriophage
2. Plasmids, Bacteriophage, Cosmids
3. Bacteriophage, Cosmides, Plasmids
4. Cosmids, Bacteriophage, Plasmids

Correct answer: 2. Plasmids, Bacteriophage, Cosmids

Explanation: B i.e. Plasmid, bacteriophage, cosmid * Plasmid is smallest & most commonly used vectors * 1Kb = 1000 nucleotide long base Vector/ Vehicle- DNA DNA insert size (i.e. can accept DNA fragment of) Plasmid (PBR 322) 0.01 - 10 kb (smallest)(2 Bacteriophage (Lambda charon 4A) 10 -20 kb Cosmids 35 - 50 kb (largest)2